Antral obstruction with vomitting is Not Characterised by -
1. Hypokalemia
2. Hypochloremia
3. Acidosis
4. Hyponatremia

Correct answer: 3. Acidosis